Which among the following is not a chest radiographic feature of left atrial enlargement?
1. Double left heart border
2. Elevated left main bronchus
3. Splaying of carina
4. Enlargement of left atrial appendage

Correct answer: 1. Double left heart border

Explanation: Double right heart border is seen in the left atrial enlargement not the Double left heart border ...Left atrial enlargement presents with elevation of left atrial bronchus ,Splaying or widening of carina , indentation and displacement of oesophagus posteriorly, Double right heart border and prominent left atrial appendage